Which of the following is single most important indicator of likilihoodness of progression of hepatitis to liver cirrhosis
1. Etiology
2. Associated serological findings
3. Presence of bridging necrosis
4. Presence of mallary hyaline

Correct answer: 1. Etiology

Explanation: etiology is tje single most important indicator of liklihoodness of progression of hepatitis to cirrhosis HARSH MOHAN SIXTH EDITION PAGE.604-612